Kocher Langenbeck approach for emergency acetabular fixation is done in all Except:
1. Open fracture
2. Progressive sciatic nerve injury
3. Recurrent dislocation inspite of closed reduction and traction
4. Morel-Lavallee lesion

Correct answer: 4. Morel-Lavallee lesion

Explanation: D. i.e. Morel Lavalle lesion